Which of the following is false regarding Multiple Sclerosis (MS)?
1. More common in women and age of onset is between 20-40 years of age
2. Risk factors include vitamin D deficiency and cigarette smoking
3. Pathological hallmark is axonal degeneration
4. HLA DRB1 in MHC class II is associated with 10% of disease risk

Correct answer: 3. Pathological hallmark is axonal degeneration

Explanation: Multiple sclerosis is an auto immune disease of central neural system with a relapsing and remitting or progressive course. The pathologic hallmark of disease is demyelination. Myelin specific antibodies are present on degenerating myelin sheaths. Surviving oligodendrocytes partially remyelinate surviving axons, which are called as shadow plaques. Reference: Harrison's Principles of Internal Medicine, 21st edition, p2661